Most common mode of transmission of Pasteurella Multocida is:
1. Animal Bites or scratches
2. Aerosols or dust
3. Contaminated tissue
4. Human to human

Correct answer: 1. Animal Bites or scratches

Explanation: Animal bites and scratch marks are most common mode of transmission of Pasteurella Multocida. Ref: Parija Subhash Chandra (2009), Chapter 38, "Haemophilus, Pasteurella, and Actinobacillus", In the book "Textbook of Microbiology and Immunology", Elsevier Publications, India, Page 341; Harrison's Principles of Internal Medicine, 17th Edition, Page 928; Textbook of Microbiology By Ananthnarayanan, 7th Edition, Page 331; Clinical Infectious Diseases By Schlossberg (2008), Page 1016